Alosetron is
1. 5HT1 receptor antagonist
2. 5HT2 receptor antagonist
3. 5HT3 receptor antagonist
4. Analogues of somatostatin

Correct answer: 3. 5HT3 receptor antagonist